Which of the following is not a Paraphilia:
1. Transsexualism
2. Pedophilia
3. Fetishism
4. Masochism

Correct answer: 1. Transsexualism

Explanation: Ans. A. TranssexualismDisorders of sexual preference (Paraphilias/ Perversions)1. Fetishism: Sexual focus on non-living object (like shoes, gloves) as a stimulus for sexual arousal and sexual gratification - objects are intimately associated with human body such as articles of clothing (gloves) or footwear2. Transvestism: (formerly: Transvestic fetishism) Wearing of clothes of the opposite sex principally to obtain sexual excitement3. Exhibitionism: Recurrent/persistent tendency to expose genitalia to strangers (usually of the opposite sex) or to people in public places, without inviting or intending closer contact.4. Voyeurism (scopophilia): Recurrent/ persistent tendency to look at people engaging in sexual or intimate behavior such as undressing. Usually leads to sexual excitement and masturbation and is carried out without the observed people being aware.5. Pedophilia: Sexual preference for children, usually of prepubertal or early pubertal age (< or = 13 yrs)Person with pedophilia are at least 16 years of age and at least 5 years older than victimSome are attracted only to girls, others only to boys, others again interested in both sexes.6. Frotteuristic Disorder: Recurrent & intense sexual arousal from touching or rubbing against a non-consenting person, as manifested by fantasies, urges, or behaviors.Eg. man rubbing his penis against buttocks or other body parts of fully clothed women